Chang staging is used for -
1. Retinoblastoma
2. Medulloblastoma
3. Ewing's sarcoma
4. Rhabdomyosarcoma

Correct answer: 2. Medulloblastoma